Which of the following is the principle disadvantage of depot progestin?
1. Weight gain
2. Breast tenderness
3. Depression
4. Irregular menstrual bleeding and prolonged anovulation

Correct answer: 4. Irregular menstrual bleeding and prolonged anovulation